Which of the following is an exclusive 5-HT 1F receptor agonist approved by FDA for treatment of acute migraine attack?
1. Rimegepant
2. Lasmiditan
3. Eletriptan
4. Dosulepin

Correct answer: 2. Lasmiditan

Explanation: Lasmiditan has been approved by FDA in October 2019 for acute treatment of migraine attack which is a selective 5-HT 1F receptor agonist. The triptans were designed to stimulate selectively subpopulations of 5-HT receptors; at least 14 different 5-HT receptors exist in humans. The triptans are potent agonists of 5-HT1B and 5-HT1D receptors, and some are active at the 5-HT1F receptor; the latter's exclusive agonists are called ditans. Most drugs effective in the treatment of migraine are members of one of three major pharmacologic classes: nonsteroidal anti-inflammatory drugs, 5-HT1B/1D receptor agonists, and dopamine receptor antagonists. Two new classes of therapeutic agents, CGRP receptor antagonists, such as rimegepant and ubrogepant, and 5-HT1F receptor agonists, such as lasmiditan, should soon be available. Ref Harrison 20th edition page 3096, 3100.